Consultation - ligation (C - L) psychiatry involves diagnosing :
1. Psychiatric illness in medically ill
2. Medical illness in psychiatric patients
3. Suicidal tendency in psychiatric patients
4. Suicidal tendency in medically ill

Correct answer: 1. Psychiatric illness in medically ill

Explanation: Consultation - Liason psychiatry is the branch of psychiatry that specializes in the interface between medicine and psychiatry, usually taking place in a hospital or medical setting. The role of the consultation - liaison psychiatry is to see patients currently admitted in the medical or surgical ward, at the request of treating medical or surgical consultant → To see the medical or surgical ill patient psychiatric evaluation.